Interdependency of osteoblasts and osteoclasts in bone remodeling is called as
1. Lacunae
2. Coupling
3. Reversal lines
4. Canaliculi

Correct answer: 2. Coupling